Which of the following is NOT a content of medial wall of middle ear -
1. Oval window
2. Round window
3. Processus cochleariformis
4. Aditus ad antrum

Correct answer: 4. Aditus ad antrum

Explanation: Medial / labyrinthine wall of middle ear. Seperates middle ear from inner ear. Structures present - Promontory - Fenestra vestibuli - Prominence of facial canal - Fenestra cochlea - Sinus tympani - Processus cochleariformis - Prominence of lateral semicircular canal - Round window - Oval window Aditus ad antrum is located on posterior wall Notch of rivinus is located on lateral wall.